Dye used in IV cholangiography is ?
1. Di an soil
2. Conray
3. Biligraffin
4. Myodil

Correct answer: 3. Biligraffin

Explanation: Ans. is 'c' i.e. Biligraffin